Morris Index positive in ECG is suggestive of
1. Right atrial enlargement
2. Left atrial enlargement
3. Right ventricular hypertrophy
4. left ventricular hypertrophy

Correct answer: 2. Left atrial enlargement

Explanation: The index proposed by Morris (amplitude of the negative deflection in V1 in mm multiplied by its duration in seconds) is positive if greater than 0.03Morris Index positive in ECG is suggestive of Another sign of Left atrial enlargement in ECG is P wave width >2.5 mm in lead II.Right, atrial enlargement P wave height >2.5mm in lead II and area of the Positive phase of P wave in Lead V1 >0.06mmsec.